All of the following are the targets for National Programme for Control of Blindness (NPCB), EXCEPT:
1. Increase cataract surgery rate to 450 operations per lakh population
2. Intraocular lens implantation in more than 80 percent cataract surgery cases
3. 100% coverage of vitamin A prophylaxis doses from 9 months to 3 years of age
4. Development of 50 pediatric ophthalmic units

Correct answer: 3. 100% coverage of vitamin A prophylaxis doses from 9 months to 3 years of age

Explanation: Targets for National Programme for Control of Blindness (NPCB): To increase the cataract surgery rate to 450 operations per lakh population Intraocular lens implantation in more than 80% cataract surgery cases by 2007 Development of 50 pediatric ophthalmology units Facilities for early diagnosis and treatment of glaucoma and diabetic retinopathy Setting up 20,000 Vision Centers in rural areas Development of 25 fully operational eye bank network Developing human resources and institutional capacity for eye care by providing training to eye surgeons and other personnel at various levels, supply of ophthalmic equipments and grant-in-aid to NGOs. Ref: Park's Textbook of Preventive and Social Medicine, 19th edition, Page 292.